Mad Cow disease (Bovine Spongioform Encephalopathy) is similar in man to -
1. Alzheimer's Disease
2. Creutzfeldt Jacod Disease
3. Huntingtons Chorea
4. Picks Disease

Correct answer: 2. Creutzfeldt Jacod Disease

Explanation: CJD is a subacute preaenile encephalopathy with progressive incordination and dementia ending fatally in about a year.It is a prion disease. prion disease in animals include scrapie,mink encephalopathy,BSE madcow disease.These are caused by slow virus group B. REF:ANANTHANARAYAN AND PANIKER'S TEXTBOOK OF MICROBIOLOGY 9TH EDITION PAGE NO:556,557